Anemia is caused by deficiency of which micronutrient?
1. Iron
2. Potassium
3. Phosphorus
4. Nickel

Correct answer: 1. Iron

Explanation: ANSWER: (A) IronREF: Ganong 24th ed page 560, Guyton 12th ed pg 420Anemia is the deficiency of hemoglobin in the blood which can be caused by either too few red blood cells or too little hemoglobin in the cells. 30% of the world suffers from iron deficiency anemia, due to inadequate intake or absorption of iron from the diet. Iron is needed for the synthesis of hemoglobin. Deficiency caused due to inadequate intake or blood loss causes iron deficiency' anemia.